Coronary cabal fistula is
1. Inokuchi
2. Warren's
3. Eck's fistula
4. Shamik

Correct answer: 1. Inokuchi

Explanation: Inokuchi shunt Interpostion of vein graft between the left gastric (coronary) vein and the IVC Also known as coronary-cabal fistula Choice (TIPS or shunt) is based on the predicted time to transplantation Ref:Sabiston 20th edition Pgno : 1440